Which of the following is most resistant to antiseptics?
1. Spore
2. Prion
3. Cyst
4. Fungus

Correct answer: 2. Prion

Explanation: Resistance of organism to antiseptics in decreasing order is as follows:

Prions
Coccidia
Spores
Mycobacteria
Cysts
Small non-enveloped virus
Trophozoites
Gram-negative bacteria (non-sporulating)
Fungi
Large non-enveloped virus
Gram-positive bacteria
Lipid enveloped / medium sized virus (HIV, HBV)